Skin penetration not seen in ?
1. Taenia saginata
2. Nectator americanus
3. Ankylostoma duodenale
4. Strongyloides stercoralis

Correct answer: 1. Taenia saginata

Explanation: Ans. is 'a' i.e., Taenia saginata